The best response to steroids is observed with –
1. Focal glomerulonephritis
2. Lipoid nephrosis
3. Membranous GN
4. Membranoproliferative GN

Correct answer: 2. Lipoid nephrosis

Explanation: Minimal change GN is also referred to as lipoid nephrosis.
Minimal change GN has an excellent response to steroids.